An anterolateral cordotomy relieving pain in right leg is effective because it interrupts the
1. Left dorsal column
2. Left ventral spinothalmic tract
3. Left lateral spinothalmic tract
4. Right lateral spinothalmic tract

Correct answer: 3. Left lateral spinothalmic tract

Explanation: Surgical procedure undertaken to relieve severe pain include cutting the nerve from the site of injury or ventrolateral cordotomy, in which the opposite side spinothalamic tracts are fully cut. Ref: Ganong's review of medical physiology;23rd edition; pg:177